Relationship of artery, vein, and nerve in Parotid gland from lateral to media is?
1. Artery, Vein, Nerve
2. Nerve, Vein, Artery
3. Vein, Artery, Nerve
4. Vein, Nerve, Artery

Correct answer: 2. Nerve, Vein, Artery

Explanation: Three main structures either in part or in whole traverse the parotid gland and branch within it. From superficial to deep, these are facial nerve, retromandibular vein, and external carotid artery.Reference: Textbook of anatomy, Head neck, and brain, Vishram Singh, 2nd edition, page no.114